Intra-arterial calcium gluconate infusion is used in the management of burns caused by
1. Nitric acid
2. Hydrofluoric acid
3. Formic acid
4. Hydrochloric acid

Correct answer: 2. Hydrofluoric acid

Explanation: Hydrofluoric acid causes Hypocalcemia. Calcium based therapies are main stay of treating Hydrofluoric acid burns. Topical application of calcium gluconate onto wounds and IV administration of calcium gluconate for systemic symptoms. Intra-arterial calcium gluconate infusion provides effective treatment of progressive tissue injury and intense pain.